Width of PDL is
1. 0.10 mm
2. 0.50 mm
3. 0.25 mm
4. 0.75 mm

Correct answer: 3. 0.25 mm